Nitrates in drinking water indicate:-
1. Recent pollution
2. Remote pollution
3. Radioactivity
4. Coliforms

Correct answer: 2. Remote pollution

Explanation: Nitrates in drinking water indicates: Remote contamination. Nitrites in drinking water indicates: Recent contamination. Guidelines of drinking water quality in India: Colour = < 15 TCU Turbidity = < 1 NTU Hardness = < 100-300 mg/L pH = 6.5- 8.5 TDS = < 500 mg/L Fluorides = < 1ppm Nitrates = < 45 mg/d Nitrites = < 3 mg/ d Radio-activity: alpha= <0.5 Bcq/L ; Beta= < 1.0 Bcq/L. Extra edge: - Turbidity of water is visible to naked eye when its > 4 NTU.